Fogarty's catheter is used for?
1. Urethral catheterization
2. Removal of blood clots from the arteries
3. Bladder drainage
4. TPN

Correct answer: 2. Removal of blood clots from the arteries

Explanation: Fogarty arterial embolectomy catheter is a device developed in 1961 by Dr. Thomas J. Fogarty to remove fresh emboli in the arterial system. It consists of a hollow tube with an inflatable balloon attached to its tip. Under fluoroscopic guidance, the catheter is inserted into the blood vessel through the clot reaching beyond it. The balloon is then inflated and the catheter is withdrawn out gently to extract the embolus from the vessel. Reference : page 191 SRB's manual of surgery 5th edition